Supporting cells of taste buds are called as
1. Sustenticular cells
2. Taste cells
3. Von ebner cells
4. Acini

Correct answer: 1. Sustenticular cells